Tetracyclines inhibit protein synthesis by:
1. Inhibition of initiation and misreading of mRNA
2. Binding to 30 S subunt and inhibiting the binding of aminoacyl-RNA to A site
3. Inhibiting peptidyl transferase activity
4. Inhibiting translocation

Correct answer: 2. Binding to 30 S subunt and inhibiting the binding of aminoacyl-RNA to A site

Explanation: The tetracyclines are primarily bacteriostatic; inhibit protein synthesis by binding to 305 ribosomes in susceptible organism. Subsequent to such binding, attachment of aminoacyl-t-RNA to the mRNA-ribosomc complex is interferred with. ESSENTIALS OF MEDICAL PHARMACOLOGY page no. 734